Medullary index of Human hair is
1. 1:01
2. 1:02
3. 1:03
4. 1:05

Correct answer: 3. 1:03

Explanation: Medullary index has been in use for determining the species origin of hair; the index is 0.3 or less in human hairs; in animals it is more than 0.3. Ref:- Review of Dermatology by Alikhan; pg num:-11